Which of the following best reflects the highest level of community participation-
1. Planning of intervention by community
2. Intervention based on assessment of community needs
3. Provision of resources by community
4. Community supports and cooperates with workers

Correct answer: 1. Planning of intervention by community

Explanation: Ans. is 'a' i.e., Planning of intervation by community enpowerment